Schizophrenia is more common in which socioeconomic strata
1. Middle
2. Upper
3. Low
4. Upper middle

Correct answer: 3. Low

Explanation: Sociocultural Theories Although the prevalence of schizophrenia is quite uniform across cultures, it was found to be more common in lower socioeconomic status in some studies. This has now been explained due to a 'downward social drift', which is a result of having developed schizophrenia rather than causing it. Ref: A Short Textbook of Psychiatry, Niraj Ahuja, 7th Edition, pg. no. 65